Blood agar is
1. Enrichment media
2. Enriched media
3. Selective media
4. Transport media

Correct answer: 2. Enriched media

Explanation: Ans. (b) Enriched media